Which of the following is associated with > 20% risk of chromosomal anomalies:
1. Omphalocele
2. Cleft palate
3. Cleft lip
4. Spina bifida

Correct answer: 1. Omphalocele

Explanation: Omphalocele